A patient suffered from bloody diarrhea reported In hospital on laboratory examination lactose positive, Glucose Fermenting, Gram negative rod is isolated, patient infection is most likely due to:
1. Salmonellae enterica
2. E. Coli
3. Shigella Sonnei
4. H. Pylori

Correct answer: 2. E. Coli